A 21yrs. old pt. attended a party the previous night and gives the following symptoms pain in abdomen radiating to back, pulse 100/ min, BP 100/76temp 39deg C and vomiting before coming Most probable dx is :
1. Acute appendicitis
2. Acute cholecystitis
3. Acute diverticulitis
4. Acute pancreatitis

Correct answer: 4. Acute pancreatitis

Explanation: Ans. is 'd' ie Acute Pancreatitis * The signs and symptoms exhibited by the pt. correlate with that of acute pancreatitis, most characterstic of which is - Radiation of pain to back and party in previous night (ie. h/o alcohol)Other imp. diagnostic clue (not given in question) is- Relief from pain on sitting in upright posture.*Some imp, points about Acute PancreatitisEtiology - Gall stones (50 - 70% i.e. MC cause)*Alcohol (25%) OthersGrey Turner sign or Cullens sign* :Bleeding into the fascial planes in acute pancreatitis can cause 1 discolouration of - flanks* in Grey Turner sign*Mnemonic : Cullen's -Umbilicusumbilicus* in Cullens sign* Plain abdominal x-ray findings -include a sentinel loop*a colon cut off sign*a renal 'halo ' sign *